The triad of 'diarrhea, dementia, and dermatitis' is characteristically seen in the deficiency of vitamin _______________
1. Riboflavin
2. Niacin
3. Thiamine
4. Pyridoxine

Correct answer: 2. Niacin

Explanation: Niacin deficiency results in pellagra.The early symptoms are vague. Anorexia, lassitude, weakness, burning sensations numbness and dizziness may be prodromal symptoms, After a long period of deficiency, the classic triad of dermatitis, diarrhea and dementia appears. Ref: Page 182; Nelson textbook of pediatrics; 17th edition